Pyruvate is converted to which substance to start gluconeogenesis?
1. Oxaloacetate
2. Phosphenol pyruvate
3. Cis-aconitate
4. Succinate

Correct answer: 1. Oxaloacetate

Explanation: Ans. (a) OxaloacetateRef Harper's Biochemistry 28/e, chapter 20